A 2-day-old neonate, born at 33weeks of gestation and weighing 1.5kg, has 3 episodes of apnoea, each lasting for around 25 seconds and occurring after a feeding. During these episodes, there was bradycardia and extremities were cyanosed. Blood sugar is 50 mg/dL and serum calcium is normal. Which of the following is true regarding the apnoeic periods?
1. Due to seizures
2. Secondary to hypoglycemia
3. Due to an immature respiratory center
4. Evidence of underlying pulmonary disease.

Correct answer: 3. Due to an immature respiratory center

Explanation: Apnoeic episodes are characterized by an absence of respirations for more than 20 seconds or for any duration , in the presence of bradycardia or cyanosis Periods of apnoea are generally due to be incompletely developed respiratory center, particularly when they are seen in premature infant. Although seizures, hypoglycemia, and pulmonary disease accompanied by hypoxia can lead to apnea, these causes are less likely in the infant described, given that no unusual movements occur during the apneic spells, the blood sugar level is more than 40 mg/dL, and the child appears well between episodes.